Rx of choice for 'after cataract':
1. Repeat ECCE
2. Holmium laser
3. Argon Laser
4. Nd-YAG Laser

Correct answer: 4. Nd-YAG Laser

Explanation: Ans. d (Nd- YAG Laser). (Ref: Ophthalmology by A K Khurana 2nd ed: 209)LASERNd-YAG USER# Thin membranous after cataract and thickened posterior capsule are best treated by YAG laser capsulotomy or discission with cystotome or Ziegler's knife.# Nd-YAG produces an infrared radiation with a wavelength of 1064nm.He-Ne LASER# is used to produce the red aiming beam. Doubling its frequency makes it suitable for photocoagulation.# It is usually Q-switched when used to treat the eye.# It is used to treat posterior capsular thickening following cataract surgery and iridotomy for narrow angle glaucomaARGON LASER# can produce both blue and green light.# The new argon laser limits the emission to green light which is not absorbed by the macular xanthophylls and therefore less damaging to the macula of both the patients and the doctors.# During photocoagulation, the laser should just blanch the retina instead of heavy or white burn which increases the risk of visual field loss and reduced dark vision.# Argon laser is well-absorbed by melanin and a pigmented fundus requires less power than a light fundus.